Steroids are used in the Rx of the following diseases EXCEPT:
1. Chronic fungal infection
2. Erythema multiforme
3. Pemphigus vulgaris
4. Contact dermatitis

Correct answer: 1. Chronic fungal infection

Explanation: Ans. a (Chronic fungal infection). (Ref. Harrison's principles of internal medicine, 16th ed., 2147)#ACTH deficiency-ADEM-Acute renal failure#ARDS-Alcoholic liver disease-Allergic rhinitis/sinusitis#Aspergillosis-Asthma-Atopic dermatitis#Autoimmune hepatitis-Behcet's syndrome-Bell's palsy#Brain tumors-Bronchocentric granulomatosis-Bullous pemphigoid#Candidiasis-Chronic granulomatous disease-Chronic myelofibrosis#CIDP-Cicatricial Pemphigoid-Cold agglutinin disease#Congenital adrenal hyperplasia-Contact dermatitis-Cryoglobulinemia#Cystic fibrosis-Dermatomyositis/polymyositis-Drug hepatotoxicity#Duchenne muscular dystrophy-Epidermolysis bullosa acquisita-Churg-strauss syndrome#Giant cell arteritis-Goodpasture's disease-Gout#Graves' ophthalmopathy-Hand eczema-Henoch-schoenlein purpura#21-hydroxylase deficiency-Hypercalcemia-Hypersensitivity pneumonitis#Idiopathic cutaneous vasculitis-Idiopathic hypereosinophilic Synd.-IPF#Idiopathic thrombocytopenic purpura-Inflammatory bowel disease-Interstitial lung disease#Lepra reactions-Lichen simplex chronicus-Loiasis#Lupus erythematosus-Lupus nephritis-Minimal change disease#Multiple sclerosis-Myasthenia gravis-Neoplastic spinal cord compression#Orbital Pseudotumor-Pauci-immune GM-Pemphigoid gestationis#Pemphigus vulgaris-Photoallergy-Polyarteritis nodosa#Psoriasis-Reactive arthritis-Renal transplantation#Rheumatoid arthritis-Sarcoidosis-SARS#Seborrheic dermatitis-Sweet's syndrome-Systemic lupus erythematosus#Systemic sclerosis-Takayasu's arteritis-TTP#Urticaria-Uveitis-Viral keratitis#Wegener's granulomatosis Glucocorticoid preparationsCommonly Used NameEstimated Potency GlucocorticoidMineralocorticoidShort-acting- Hydrocortisone11- Cortisone0.80.8Intermediate-acting- Prednisone40.25- Prednisolone40.25- Methylprednisolone50.01- Triamcinolone50.01Long-Acting- Paramethasone100.01- Betamethasone250.01- Dexamethasone30-40_0.01